Telescopic test is useful to diagnose
1. Perthe's disease
2. Intracapsular fracture neck of femur
3. Malunited Trochanteric fracture
4. Ankylosis of hip joint

Correct answer: 2. Intracapsular fracture neck of femur

Explanation: Positive Telescopy test indicates instability of hip joint such as: old unreduced posterior dislocation, loss of neck and or head in old fractures neck femur and paralytic hip. Telescoping digits is seen in psoriatic arthritis